Consider the lateral wall of the nasal cavity, which statement describes it the best?
1. It is formed principally by the Ethmoid bone.
2. The nasal bone forms the anterior part of the lateral wall.
3. The Inferior Concha is part of the Maxilla.
4. The Superior Concha is part of the Maxilla.

Correct answer: 2. The nasal bone forms the anterior part of the lateral wall.

Explanation: - The nasal bones form part of the anterosuperior part of the lateral wall of the nose.- The majority of the Lateral wall of the nose is made up by the Maxilla. A large defect in the medial aspect of the maxilla is closed by parts of the Ethmoid, Palatine, Inferior Conchae and Sphenoid Bones. - The Inferior Concha (or Turbinate) is a bone in itself, it articulates with the Maxilla and the Palatine Bone. - The Superior and Middle conchae (or Turbinates) are part of the Lateral mass of the Ethmoid.